Grievous hurt is defined under:
1. 320IPC
2. 318 IPC
3. 321 IPC
4. 375 IPC

Correct answer: 1. 320IPC

Explanation: Ans: a (320 IPC) Ref: Reddy, 21st ed, p. 244Grievous hurt is defined under IPC 320Some important IPC'sIPC 375 - definition of rapeIPC 376 - punishment of rapeIPC 320 - definition of grievous heartIPC 84 - deals with the criminal responsibility of insaneIPC304A - deals with criminal negligenceIPC 304B - dowry deathIPC 300 - defines murderIPC 299 - defines culpable homicideIPC 302 - punishment of murderIPC 304 - punishment of culpable homicide